Storiform pattern of tumor cells in histopathology is seen in
1. Retinoblastoma
2. Rhabdomyosalcoma
3. Fibrous histiocytoma
4. Medulloepethelioma

Correct answer: 3. Fibrous histiocytoma

Explanation: Storiform or cart wheel pattern are characteristic of fibrous histiocytoma.